Which of the following is not associated wit increase in the risk of seizures in future in a child with febrile seizures -
1. Developmental delay
2. Late age of onset
3. Complex partial seizures
4. Family history positive

Correct answer: 2. Late age of onset

Explanation: Ans. is 'b' i.e., Late age of onset Risk factor for seizures in future (Risk factor for recurrence) 1. Positive family history 2. Atypical complex febrile convulsion 3. Neurodevelopment retardation (MR, CP, development delay). 4. Early onset of febrile seizure (before 1 year) 5. Focal features More than one seizures in the same day.